Test to diagnose thiamine deficiency ?
1. RBC transketolase
2. FIGLU excretion
3. Methyl-malunic acid in urine
4. Histidine load test

Correct answer: 1. RBC transketolase

Explanation: Ans. is 'a' i.e., RBC transketolase Thiamine diphosphate is also the coenzume for transketolase, in the pentose phosphate pathway.Therefore, thiamine nutritional status is best assessed by erythrocyte (preferred) or whole blood transketolase activity..